Virulence of a biological agent is defind as -
1. Ability of the agent to invade and multiply in host
2. Proportion of clinical cases resulting in severe clinical manifestation
3. Ability of the agent to induce a clinically apparent illness
4. Proportion of clinical cases in a virgin population

Correct answer: 2. Proportion of clinical cases resulting in severe clinical manifestation

Explanation: For an infectious agent, infectivity refers to the proportion of exposed persons who become infected. Pathogenicity refers to the proportion of infected individuals who develop clinically apparent disease. Virulence refers to the proportion of clinically apparent cases that are severe or fatal. Ref: 25th edition, Park's Textbook of Preventive and Social Medicine, Page no. 43